Black color in triage
1. Death
2. Transfer
3. High priority'
4. Low' priority'

Correct answer: 1. Death

Explanation: Triage

When the quantity and severity of injuries overwhelm the operative capacity of health facilities, a different approach to medical treatment must be adopted.
The usual principle of first come, first treated”, is not followed in mass emergencies.
Triage consists of rapidly classifying the injured and the likelyhood of their survival with prompt medical intervention.

3 Higher priority is granted to victims whose immediate or long-term prognosis can be dramatically affected by simple intensive care.

Moribund patients who require a great deal of attention, with questionable benefit have the lowest priority.
The most common triage classification system used international is four colour code system.


Red → High priority treatment or transfer
Yellow → Medium priority
Green → Ambulatory patients 4. Black → Dead or moribund patients